Transamination of aspartate leads directly to -------- of the citric acid cycle
1. Citrate
2. Oxaloacetate
3. a-ketoglutarate
4. Fumarate

Correct answer: 2. Oxaloacetate

Explanation: Transamination of aspartate leads directly to the formation of oxaloacetate, and a variety of compounds that are metabolized to yield propionyl CoA, which can be carboxylated and isomerized to succinyl CoA are also important anaplerotic substrates.Ref: Harper's Biochemistry; 30th edition; Chapter 16; The Citric Acid Cycle: The Central Pathway of Carbohydrate, Lipid & Amino Acid Metabolism